Disease due to deficiency of B Complex vitamins is
1. Pellagra
2. Night blindness
3. Osteomalacia
4. Spinocerebellar ataxia

Correct answer: 1. Pellagra

Explanation: Pellagra Niacin deficiency (B complex)Night blindnessVitamin A deficiencyOsteomalacia Vitamin D deficiencySpinocerebellar ataxiaVitamin E deficiency(ref:Harrison's 17/e p442)